Contraindication for laproscopy:
1. Diaphragmatic hernia
2. Pelvic tuberculosis
3. Stress urinary incontinence
4. PCOD

Correct answer: 1. Diaphragmatic hernia

Explanation: Contraindications of Laproscopy : Extreme obesity Cardiac and respiratory diseases Diaphragmatic hernia Umblical hernia Previous abdominal scar Acute pelvic infection A large uterus and abdominal tumor can be injured by Sharp instrument. Ref: Shaw Gynecology 17e pg 527.